Specific for GIST tumor is -
1. CD117
2. CD29
3. CD34
4. CD23

Correct answer: 1. CD117

Explanation: About 80% of all GISTs have oncogenic,gain of function mutations of the gene coding the tyrosine kinase c-KIT or CD117 GENERAL AND SYSTEMIC PATHOLOGY RAMDAS NAYAK PAGE NO:390